A 60-year-old man presents with complains of change in handwriting, tremors, rigidity and slowness of activities. The possible diagnosis is
1. Supranuclear gaze palsy
2. Alzhemer's disease
3. Parkinson's disease
4. Posterior circulation stroke

Correct answer: 3. Parkinson's disease

Explanation: Ans. c (Parkinson's disease). (Ref Harrison, Internal Medicine, 16th ed., 2406)PARKINSON'S DISEASE (PD)Clinical Features: # Tremors (pill rolling) 85%.# Rigidity (cog wheel/plastic)# Bradykinesia}Classical clinical triad# Others: Mask facies, Stooped posture, Micrographia, Hypophonia, Sialorrhea, Freezing/short shuttling gait, Anosmia, Akathesia, Sleep disorders, Autonomic dysfunction, Neuropychiatric symptoms# Postural instability with repeated in first year strongly suggests the diagnosis other than PD.Rx:# Dopamine agonists (pergolide, bromocriptine, ropinirole, pramipexole)# Carbidopa, levodopa# COMT inhibitors (tolcapone, entacapone)# MAO inhibitors (selegiline)# Quetiapine# Clozapine# Anticholinergics: Trihexiphenidyl (benzhexol), Procyclidine, Benztropine, Biperiden (drug of choice in drug induced parkinsonism).# Amantadine# Anti-glutameric (riluzole) .... Primarily used in Rx of ALS# Minocycline# Co enzyme Q10.